Inverted papilloma -a) Is common in children b) Arises from lateral wallc) Always benignd) Can be premalignante) Causes obstruction
1. abc
2. ade
3. ace
4. bde

Correct answer: 4. bde